First permanent teeth to erupt is:
1. First premolar
2. Second premolar
3. First molar
4. Second molar

Correct answer: 3. First molar

Explanation: Ans. C: First molar At the age of about 6-7 year, first permanent molar teeth erupts behind the second temporary molar. At the age of 9, there are 12 permanent teeths. At the age of 11, there are 20 permanent teeths At the age of 14, there are 28 permanent teeths